Which of the blood cells secrete major basic protein?
1. Neutrophil
2. Basophil
3. Platelet
4. Eosinophil

Correct answer: 4. Eosinophil

Explanation: Major basic protein is a 117 amino acid enzyme with potent activity against helminths, bacteria and mammalian cells. It is released by eosinophils. It is the enzyme associated with immune hypersensitivity reactions. It also stimulates the release of histamine from mast cells and basophils, activates neutrophils and alveolar macrophages, and is involved in epithelial cell damage and bronchospasm in asthma.